Which is the most common cause for dissecting aneurysm of thoracic aorta?
1. Atherosclerosis
2. Medial degeneration
3. Syphilis
4. Trauma

Correct answer: 2. Medial degeneration

Explanation: Aortic dissection is a catastrophic illness characterized by dissection of blood in between and along the laminar planes of the media,with the formation of a blood filled channel within the aortic wall; this channel often ruptures through the adventitia and into various spaces, where it causes either massive hemorrhage or cardiac tamponade.Hypertension is the major risk factor for aortic dissection.Ref: Robbins Basic Pathology, 8th Ed, page 359-360